NOT a complication of massive blood transfusion:
1. Septicemia
2. Thrombocytopenia
3. Hyperthermia
4. ARDS

Correct answer: 3. Hyperthermia

Explanation: Ans. C i.e. Hyperthermia Hypothermia is seen and hence blood should be warmed before infusion